A 30 year old female with history of singing, vocal abuse and gastrooesophageal reflux developed nodules at junction of anterior 1/3rd & middle 3rdof her vocal cords. What is treatment of choice ?
1. Speech therapy and Proton pump inhibitor (PPI)
2. Microlaryngascopic surgery & CO2 laser
3. Microlaryngectomy
4. Direct laryngoscopy and biopsy

Correct answer: 1. Speech therapy and Proton pump inhibitor (PPI)